The earliest and most conclusive sign of intrauterine fetal death is / sure sign of IUD is:
1. Spalding sign
2. Intrafetal gas in areas of great vessels and heart
3. Crowding of ribs
4. Hyperflexion of spine

Correct answer: 2. Intrafetal gas in areas of great vessels and heart

Explanation: Intrafetal gas in areas of great vessels and heart